Maximum Biological value is for
1. Egg
2. Soya
3. Milk
4. Rice

Correct answer: 1. Egg